Treatment of choice for medullary carcinoma of thyroid to
1. Total thyroidectomy
2. Partial thyroidectomy
3. I131 ablation
4. Hemithyroidectomy

Correct answer: 1. Total thyroidectomy

Explanation: Treatment is by total thyroidectomy and either prophylactic or therapeutic resection of the central and bilateral cervical lymph nodes. Bailey & Love's short practise of surgery,25th edition,page no:798;SRB's manual of surgery,5th edition,page no:487.